Pityriasis Versicolor is caused by:
1. Tinea rubrum
2. Malassezia furfur
3. Tinea capitis
4. Varicella

Correct answer: 2. Malassezia furfur

Explanation: Ans: (b) Malassezia furfurRef: Fitzpatrick Dermatology 8th ed. / 806TINEA/PITYRIASIS VERSICOLOR* Caused by Malassezia furfur.* It is usually seen in young adults and clinically presents with multiple small, scaly, hypopigmented macules that develop insidiously over the skin of chest & back.Diagnosis* Examination of scales in 10% KOH: Shows short hyphae & round spores (spaghetti & Meat Ball appearance).* Wood lamp examination show apple green fluorescence.* Skin surface BiopsyTreatment* Whitfields ointment (3% salicylic acid + 6% Benzoic acid), Selenium disulphide, Sodium thiosulphate.* Topical Miconazole/ Ketoconazole/ Itraconazole; Clotrimazole,* Systemic Keto/Itraconazole* Griseofulvin is not effective in case of pityriasis versicolor.Also Know* Griseofulvin is used systemically for Idermatophytosis (tinea infection).* Griseofulvin is ineffective topically.* Griseofulvin has no role in treatment of T. versicolor & Candida.